Association Fibers are white matter fibers which connect
1. Corresponding areas in two cerebral hemispheres
2. Cerebral cortex with lower level in brain
3. Different cortical areas in the same hemisphere
4. Different cranial nerve nuclei

Correct answer: 3. Different cortical areas in the same hemisphere

Explanation: Association fibers: Connect different cortical areas in the same hemisphereProjection Fibers: Connect cerebral cortex with lower level in brain (Eg. Brainstem, spinal cord)Commissural fibers: Connect corresponding areas in the two cerebral hemispheres